25(OH) cholecalciferol is converted to 1,25-dihydroxy - cholecalciferol in:
1. Skin
2. Lung
3. Liver
4. Kidney

Correct answer: 4. Kidney

Explanation: Ans. D KidneyRef: Ganong, 23rd ed. pg. 674